All can be executive magistrate except
1. Collector
2. Subcollector
3. Tehsildar
4. SSP

Correct answer: 4. SSP

Explanation: D i.e. SSP